Which of the following drug is not used in the management of lepra reaction?
1. Chloroquine
2. Rifampicin
3. Clofazimine
4. Thalidomide

Correct answer: 2. Rifampicin

Explanation: Rifampicin is not used in the management of lepra reaction. Reversal reaction, or lepra type 1 reaction, is a delayed-type hypersensitivity reaction that arises when borderline leprosy shifts toward borderline lepromatous leprosy with treatment. The reaction is characterized by edema and erythema of existing skin lesions, formation of new skin lesions, neuritis, and additional sensory and motor loss. Treatment includes nonsteroidal anti-inflammatory drugs (NSAIDs) and high-dose steroids. Erythema nodosum leprosum (ENL), also known as lepra type 2 reaction, is a complication of lepromatous leprosy. It is characterized by the development of inflamed subcutaneous nodules accompanied at times by fever, lymphadenopathy, and arthralgias. Treatment includes prednisolone, clofazimine, thalidomide, or chloroquine.